All of the following statements about leptospirosis are true except -
1. Infection acquired by direct contact with infected urine
2. Mortality is 5-15% in severe cases
3. Antibodies are usually detectable in the first week
4. IV penicillin is recommended for treatment of severe cases

Correct answer: 3. Antibodies are usually detectable in the first week